Thanatology is the science which deals with ?
1. Death in its aspects
2. Identification of the living
3. Solving paternity of the child
4. Detection of life

Correct answer: 1. Death in its aspects

Explanation: Ans. is `a' i.e., Death in its aspects o Thanatology is the academic and often scientific, study of death among human beings. It investigates the circumstances surrounding a persons' death, the grief experienced by the decreased's loved ones, and larger social altitudes towards death such as ritual and memorializat ion. Thanatophobia is known as fear of death.